Mc Callum's patch is diagnostic of:
1. Infective endocarditis
2. Rheumatic endocarditis
3. Myocardial infarction
4. Tetralogy of Fallot (ToF)

Correct answer: 2. Rheumatic endocarditis

Explanation: Rheumatic heart disease is one of the forms of vegetative valve disease, each of which exhibit their own characteristic morphologic features. Subendocardial lesions, perhaps excerbated by regurgitant jets, can induce irregular thickening called MacCallum plaques,usually in the left atrium.